Erethism occur in
1. Hg
2. As
3. Pb
4. Cu

Correct answer: 1. Hg

Explanation: Ans is 'a' i.e. Hg(Mercury) Erethism: is a peculiar disturbance of the personality characterized by shyness irritability, tremors, loss of memory and insomnia.Other imp. Points about mercury :Most poisonous salt of mercury* - Mercuric chlorideAcute poisoning causes nephrotoxicity *Chronic poisoninga blue-black line on the gums as with lead poisoningMercuria lentis*is a peculiar eye change due to brownish deposits of mercury in the lens. It is bilateral and has no effect on visual acuity.Tremors are seen and are k/a Hotter*s shake* or glass blowers shake*Erethism is seenAcrodynia* is seen.